Which of the following grains can be used safely in patients with celiac sprue:
1. Rice
2. Wheat
3. Rye
4. Barley

Correct answer: 1. Rice

Explanation: Answer is A (Rice) Gluten Containing Grains Wheat Rye Oat Barley Spelt Rice is .Gluten free and should he used in place of wheat flour in patients with Gluten sensitivity or celiac sprue Gluten Free Grains Rice Corn Millet Topioca